Which IV anesthetic not cause cardiac depression?
1. Etomidate
2. Propofol
3. Methohexital
4. Thiopentone

Correct answer: 1. Etomidate

Explanation: Etomidate:- Preferred inducing agent in cardiovascular surgery Major disadvantage is adrenal suppression Thiopental:- Ultrashort acting barbiturate with high lipid solubility. Potent anaesthetic but weak analgesic. Methohexital & Thiopental - Histamine release